Basal metabolic rate is closely dependent on:
1. Body Surface Area
2. Lean body mass
3. BMI
4. Height

Correct answer: 2. Lean body mass

Explanation: Lean body mass is the mass which is not due to fat. Thus, lean body mass corresponds to muscles mainly. This is why, Men have more BMR than women. Elderly people have less BMR, since the muscle tissue gets infiltrated with fat with advanced age. Additional information on BMR: BMR is increased in BMR is decreased in Fever Protein Energy Malnutrition Hyperthyroidism Hypothyroidism Cold environment Addison disease Cushing's syndrome Starvation Cachexia Obesity